At what stage neutrophil appear in peripheral blood circulation from bone marrow
1. Myeloblast
2. Promyelocte
3. Myelocte
4. Band form

Correct answer: 4. Band form

Explanation: Band form of neutrophil appear first in the peripheral smearWintrobe 13th e p.140